Most common used rays for radiotherapy – a) X raysb) γ rays c) α raysd) β rays
1. ab
2. bc
3. ac
4. cd

Correct answer: 1. ab

Explanation: "Several different types of radiation are used to treat patients with malignant conditions. The most frequently used  forms of radiation for cancer therapy, however are , high energy X-rays and gamma rays".